The lip is supported by
1. Relation of lip edge and facial surfaces of teeth
2. Labial sulcus between teeth and lip
3. Relationship of tongue and teeth
4. None

Correct answer: 1. Relation of lip edge and facial surfaces of teeth